Best indicator for growth measurement is-
1. Height
2. Weight
3. Arm circumference
4. None

Correct answer: 2. Weight

Explanation: Ans. is 'b' i.e., Weight o Measurement of weight and rate of gain in weight are the best single parameters for assessing physical growth.